All of the following are examples of a round cell tumor, except -
1. Neuroblastoma
2. Ewing's sarcoma
3. Non Hodgkin's Lymphoma
4. Osteosarcoma

Correct answer: 4. Osteosarcoma

Explanation: osteosarcoma is not a round cell tumour but all others are. the lace-like pattern of neoplastic bone produced by anaplastic tumour cells is seen here. Source robbins basic pathology 7tyh edition page no.1295. chapter bones, joints and soft tissue tumours.